X-ray findings in chronic otitis media-
1. Honeycombing of mastoid
2. Sclerosis with cavity in mastoid
3. Clear-cut distinct bony partition between cells
4. None of the above

Correct answer: 2. Sclerosis with cavity in mastoid

Explanation: (Refer: PL Dhingra, Diseases of Ear, Nose & Throat, 7th edition, pg no. 73 – 82)
“X-ray in CSOM, especially in atticoantral disease, may show sclerosis with presence of cavity”